Optic neuritis is caused by following, except:
1. Ethambutol
2. Chloroquine
3. Steroid therapy
4. Methanol

Correct answer: 3. Steroid therapy

Explanation: Steroid therapy